Type of collagen found in hyaline cartilage is:
1. Type I
2. Type III
3. Type II
4. Type IV

Correct answer: 3. Type II